Peritoneal dialysis uses which of the following process/ es?
1. Osmosis
2. Diffusion
3. Ultrafiltration
4. All the above

Correct answer: 4. All the above

Explanation: Answer- D. All the aboveThe repetitive installation and drainage of dialysis solution into and from peritoneal cavity - uses process of osmosis, ultrafiltration and diftrsion to remove wastes, toxins and fluid from the blood.